All drugs are used in AIDS EXCEPT:
1. Abacavir
2. Ritonavir
3. Acyclovir
4. Tenofovir

Correct answer: 3. Acyclovir

Explanation: Ans. (c) AcyclovirRef. Katzung 11th ed. / 860* Acyclovir is an acyclic guanosine derivative with clinical activity against HSV-1, HSV-2, and VZV. In vitro activity against Epstein-Barr virus (EBV), cytomegalovirus (CMV), and human herpesvirus-6 (HHV-6).ANTI-RETROVIRAL DRUGS* Nucleoside reverse tanscriptase inhibitor: Zidovudine, Stavudine, Lamivudine, Didanosine, Emtricitabine, Zalcitabine, Abacavir* Nucleotide reverse tanscriptase inhibitor: Tenofovir* Protease inhibitors: Indinavir, Saquinavir, Ritonavir, Atazanavir, Nelfinavir, Amprenavir, Lopinavir.